Twisting and protrusion of tongue, chewing of lips is seen in
1. Acute Akathisia
2. Acute Dystonia
3. Tardive dyskinesia
4. Chronic dystonia

Correct answer: 3. Tardive dyskinesia

Explanation: Tardive dyskinesia is usually seen late after use of typical antipsychotics in which lip smacking, chewing, twisting and protrusion on tongue .pt. is advised to take atypical antipsychotics Ref: Essentials of postgraduate psychiatry By JN Vyas 1st ed Pg: 410-412